Which of the following is a derivative of Reichert's Cartilage?
1. Stapes
2. malleus
3. Incus
4. Sphenomandibular joint

Correct answer: 1. Stapes

Explanation: Ans. is 'a' i.e., Stapes * Carilage of the second pharyngeal arch is called Reichert's Cartilage.* Derivatives of the Reichert's Cartilage includei) Stapesii) Styloid processiii) Stylohyoid ligamentiv) Small cornua of hyoidv) Superior part of the body of hyoid